In case of cyanide poisoning, antidote of amyl nitrate is given. This is an example of:
1. Receptor antagonism
2. Chemical antagonism
3. Physical antagonism
4. Physiological antagonism

Correct answer: 2. Chemical antagonism

Explanation: Ans. (b) Chemical antagonismRef: Vasudevan Biochemistry, 8th ed. P 321* Chemical: A type of antagonism where a drug counters the effect of another by simple chemical reaction/neutralization (not binding to the receptor).* Physiological: Two drugs act on two different types of receptor and antagonize action of each other.* Competitive: Both drugs bind to same receptor.